Erythema multiforme ?
1. Staphylococcus
2. TB
3. HSV
4. EBV

Correct answer: 3. HSV

Explanation: Ans. is 'c' i.e., HSV Idiopathic erythema multiforme is the most common cause of EM. o Herpes simplex is the most important infectious cause of EM. Causes of Erythema multiforme Idiopathic ---> Most common cause Viral --> HSV (most important) HBV, Mumps, Adenovirus o Bacteria -9 Streptococci, tuberculosis Fungal --> Coccidioidomycosis, Histoplasmosis. Drugs ----> Antibiotics (Sulphonamide), Phenytoin, NSAIDS. o Autoimmune disease --> SLE, thyroiditis, RA Others --> Sarcoidosis, Pregnancy, Malignancy